All are true regarding superior laryngeal nerve block, except:
1. Needle pierces through thyrohyoid membrane
2. Sensory loss below level of vocal cords occurs
3. Internal laryngeal nerve is anesthetized
4. Thyroid notch is used as a landmark

Correct answer: 2. Sensory loss below level of vocal cords occurs

Explanation: Superior laryngeal nerve supplies sensory supply to the mucosa of larynx upto the level but not including the vocal cords. Sensory supply of vocal cords and larynx below vocal cords is by recurrent laryngeal nerve. Thus in superior laryngeal nerve block, sensory supply below the level of vocal cords will be maintained.